Which of the following does not have analgesic property
1. Ether
2. Ketamine
3. Halothane
4. Morphine

Correct answer: 3. Halothane

Explanation: Refer KDT 6 /e p 372 Halothane and newer flourinated inhalation anesthestic agent are devoid of analgesic property